Ceftriaxone is:
1. IInd generation short acting cephalosporin
2. Has activity against beta lactamase producing bacteria
3. IVth generation long acting cephalosporin
4. IIIth generation long acting cephalosporin

Correct answer: 4. IIIth generation long acting cephalosporin

Explanation: 3rd generation cephalosporins: Cefotaxime, Ceftizoxime ,Ceftriaxone ?Ceftazidime ,Cefoperazone, Cefixime Cefpodoxime proxetil ,Cefdinir ,Ceftibuten ,Ceftamet pivoxil ESSENTIALS OF MEDICAL PHARMACOLOGY page no. 726